The most common site of hypertensive intracranial hemorrhage is:
1. Putamen
2. Midbrain
3. Medulla
4. Cerebrum

Correct answer: 1. Putamen

Explanation: Ans. (a) Putamen* Basal Ganglia (Putamen) is the MC site of ICH.* Of all the hemorrhages in Brain - Intracerebral hemorrhage is the MC type of hemorrhage.* The MC cause of Intracranial bleed - Hypertension